"Figure of 8" on chest X-ray is a sign associated with-
1. Fallot's tetralogy
2. TAPVC
3. TGA
4. Ebstein's anomaly

Correct answer: 2. TAPVC

Explanation: Ans. is 'b' i.e., TAPVC * Snowman" or figure of 8" or "Cottage loaf sign" is seen in supracardiac TAPVC.Radiological features of Congenital heart diseasesVentricular septal defect(VSD)1) Small:- Normal chest x-ray2) Large :-a. Cardiomegalyb. Enlarged left atrium with widening of carina.c. Increased pulmonary vascularity (pulmonary plethora)d. Pulmonary edemae. Small aortic knobAtrial septal defect1) SmallNormal2) Largea. Mild cardiomegalyb. Normal or enlarged pulmonary arteryc. Increased pulmonary vascularity (Pulmonary plethora)d. Enlarged right atrium and right ventriclee. Left atrium is not enlarged (in contrast to VSD)f. Small aortic knobTransposition of greatArteries (TGA)a. Cardiomegaly (Globular heart)b. "Egg on Side" appearancec. Pulmonary plethorad. Absent thymic shadowTotal anamalous pulmonary venous connection (TAPVC)a. Cardiomegalyb. Pulmonary plethorac. "Snowman" or figure of 8" or "Cottage loaf sign" (In supracardiac TAPVC),d. "Ground glass" lung (in obstructive TAPVC)Tetralogy of Fallota. Boot shaped heart (Coeur en Sabot)b. Pulmonary oligemiac. Normal sized heart (no cardiomegaly)d. Right aortic arch (in 25% cases)Patient ductus arteriosus (PDA)a. Cardiomegalyb. Enlarged left atriumc. Increased pulmonary vascularity (pulmonary plethora)d. Pulmonary edemae. Prominent aortic knob (in contrast to VSD)f. Ductus bump (due to enlarged PDA) at the level of aortic knobCoarctation of Aorta (CoA)a. Reverse figure of 3 sign or double bulge sign or 'E' sign on left border of aortic shadow is formed by (above downward) : - Prestenotic dilatation; coarctation itself (indentation); poststenotic dilatation.b. Double aortic knucklec. Dock's sign:- There is bilateral notching of inferior margins of 3-8 ribs. Rib notching is absent in the 1st & 2nd ribs because first and second intercostal arteries do not take part in the collateral circulation. Rib notching increases with age and after the age of 7 years, rib notching is present in almost all the cases.